Sorghum contains good amount of -
1. Lycine
2. Arginine
3. Leucine
4. Histidine

Correct answer: 3. Leucine

Explanation: Sorghum have a high leucine content and is deficient in lysine and threonine. REF. PARK'S TEXTBOOK OF PREVENTIVE AND SOCIAL MEDICAL 21ST EDITION. PAGE NO - 580